Renal papillary necrosis is seen in
1. Sickle cell disease
2. Gouty nephropathy
3. Chronic glomerulonephritis
4. Tumor necrosis syndrome

Correct answer: 1. Sickle cell disease

Explanation: Necrotizing papillitis (or papillary necrosis): It is one special pattern of acute pyelonephritis and is much more frequent in diabetics Hyaline arteriolosclerosis narrows blood vessels -> reduces the blood supply to the renal medulla -> ischemia ->causes necrosis of the tips of papillae (papillary necrosis). Causes of necrotizing papillitis: Diabetes mellitus Sickle cell anemia Analgesic nephropathy Obstructive uropathy. Ref: RAM DAS NAYAK EXAM PREPARATORY MANUAL FOR UNDERGRADUATES 2nd ed. pg no: 615